Codons are present in -
1. t-RNA
2. r-RNA
3. m-RNA
4. si-RNA

Correct answer: 3. m-RNA

Explanation: Ans. is 'c' i.e., m-RNA o The information needed to direct the synthesis of protein is contained in the mRNA in the form of a genetic code, which intum is transcribed from template strand of DNA and is therefore complementary to it.o The genetic code is the system of nucleotide sequences of mRNA that determines the sequence of amino acids in protein.o Codon is a sequence of three adjacent basest that corresponds to one amino acid.o There are 64 possible codom sequenceso Because four nucleotide bases A.G, C and U are used to produce the three base codons, there are therefore 64(4') possible codon sequencesQ.o The mRNA carries genetic information in the form of codons (three adjacent nucleotides that code for the amino acids of protein).